In a case of strangulated hernia management is :
1. USG-abdomen
2. X-ray abdomen
3. Aspirate contents
4. Immediate surgery

Correct answer: 4. Immediate surgery

Explanation: Ans. is 'd' i.e. Immediate surgery